Endometrial hyperplasia is seen in
1. Endodermal sinus tumour
2. Dysgerminoma
3. Polycystic ovarian disease
4. Carcinoma of cervix

Correct answer: 3. Polycystic ovarian disease

Explanation: Polycystic ovarian disease - endometrial hyperplasia due to high content of estrogen, largely estrone, by extraglandular aromatization of circulating androstenedione.